All of the following causes decreased clotting of blood after death, EXCEPT:
1. CO poisoning
2. Amniotic fluid embolism
3. Puerperal sepsis
4. None of the above

Correct answer: 4. None of the above

Explanation: Decreased clotting of blood is seen certain case of rapid death from asphyxia. It is also seen in death due to CO poisoning, certain cases of septicaemia, amniotic fluid embolism, hypofibrinogenemia, retained abortion, puerperal sepsis etc. Ref: The Essentials of Forensic Medicine and Toxicology by Narayana Reddy, Edition 21, Page 95